You are the DOTS provider for a patient. He has completed his 6 months of treatment. He was sputum +ve to begin with, but after the intensive phase of treatment he became sputum -ve. He was again confirmed to be sputum negative 2 months after starting the continuation phase. This patient can be termed as:
1. Cured
2. Treatment completed
3. Transfer out
4. Defaulted

Correct answer: 2. Treatment completed

Explanation: To be termed as cured a patient who was initially smear positive and completed treatment, should have a negative smear result on at least 2 occasions of which one should be at treatment completion. A patient is branded as treatment complete if he was either sputum negative to begin with or sputum positive and completed the treatment but with no or only one negative smear during continuation and none at the end of treatment. Ref: Park, Edition 21, Page 167